All are dihydropyradines except
1. Nifedipine
2. Nimodipine
3. Verapamil
4. Felodipine

Correct answer: 3. Verapamil

Explanation: Refer kDT 6/e p530 Dihydropyridine (DHP) is a molecule based upon pyridine, and the parent of a class of molecules that have been semi-saturated with two substituents replacing one double bond. They are particularly well known in pharmacology as L-type calcium channel blockers, used in the treatment of hypertension. Verapamil is a calcium channel blockers